A 4 day infant, delivered at home is brought to the emergency with complaints of bleeding from the umbilical stump. His PT is 24 seconds and APTT is 37 seconds and Platelet count is 200,000/mm3. Apart from maintaining his intravascular volume, what would be the definitive line of management:
1. Administer Vitamin K
2. Transfuse FFP
3. Start Antibiotics
4. Start inotropic support

Correct answer: 1. Administer Vitamin K

Explanation: Ans. A. Administer Vitamin KThe condition above has resulted due to vitamin K deficiency in an infant who was delivered at home and hence did not receive routine perinatal care at birth which includes vitamin K administration. The condition is also called as Hemorrhagic disease of newborn.Early-onset vitamin K deficiency bleeding usually occurs during first 24 hours after birth. It is seen in infants born to mothers taking anticonvulsant (e.g. phenytoin, barbiturates, carbamazepine) or antituberculosis medication (e.g. rifampin, isoniazid).Classic vitamin K deficiency bleeding usually occurs after 24 hours after birth but may present as late as the first week of life. It usually occurs from the second day of life to the end of the first week.